All of the following are mediators of acute inflammation except
1. Tumor necrosis factor _alfa
2. IL1
3. Myeloperoxidase
4. Prostaglandins

Correct answer: 3. Myeloperoxidase

Explanation: ref Robbins 9/e p83 Myeloperoxidase (MPO) is a heme-containing enzyme that, in the presence of peroxide and halide ions, is effective in killing various microorganisms; in addition, it exerts a wide variety of extracellular functions. Polymorphonuclear leukocytes (PMN) are the main source of this enzyme.